The most common presentation of neonatal meningitis is -
1. Bulging fontanels
2. Nuchal rigidity
3. Poor feeding
4. Convulsion

Correct answer: 3. Poor feeding

Explanation: Ans. is 'c' i.e., Poor feeding Meningitis in neonates and young infants o Bacterial meningitis in the newborn and the first 4 to 6 months of life has many atypical features - i) Neck rigidity and Kernig's sign are seldom prominent ii) Anterior fontanel may or may not be bulging o Following arouse the suspicion of bacterial meningitis in a newborn - i) Vacant stare vi) Poor cry ii) Refusal to suck (Poor feeding) vii) Fever or hypothermia iii) Alternate irritability and drowsiness viii) Shock or circulatory collapse iv) Persistent vomiting with fever ix) Tremor or convulsions Poor tone x) Neurological deficits of varying types